Waldeyer’s ring consists of all of the following except?
1. postauricular nodes
2. Palatine tonsils
3. Pharyngeal tonsils
4. Tubal tonsils

Correct answer: 1. postauricular nodes

Explanation: Waldeyer’s ring consists of:-

i. Right & left palatine tonsils.
ii. Pharyngeal tonsils (adenoids).
iii. Tubal tonsils. 
Waldeyer’s ring of lymphoid tissue

Waldeyer’s ring refers to the group of lymphatic organs that “guards” the oropharynx and nasopharynx in a roughly circular pattern, providing surveillance for pathogens or other foreign materials and mounting a defensive immunoresponse.

The right and left palatine tonsils form the most conspicuous parts of the waldeyer’s ring.
The ring is completed below by the lingual tonsils and above by pharyngeal tonsils (adenoids) and tubal tonsils.
Since the respiratory and oral cavities may be a site of entry for many pathogens, waldeyer’s ring maintains surveillance in this critical region and is able to initiate the immune response before the pathogens invade deep into the body.
Gerlach tonsil is a collection of lymphoid nodules near the pharyngeal opening of the auditory tube.